Sibutramine belongs to which group of drugs?
1. Antipsychotic
2. Antihypertensive
3. Anti obesity
4. Antidiabetic

Correct answer: 3. Anti obesity

Explanation: ANSWER: (C) Anti obesityREF: Harrison s 18th edition chapter 75, Goodman Gillman pharmacology page 194Indirect repeat from DNB Primary December 2011DRUGS USED IN TREATMENT OF OBESITY:Serotonin and norepinephrine reuptake inhibitorSibutramineSynthetic hydrogenated derivative of a naturally occurring lipase inhibitorOrlistatSelective cannabinoid CB^ receptor antagonistRimonabant